Number of dengue cases in Delhi 2000 - 2015 is best represented by:-
1. Histogram
2. Line chart
3. Scatter diagram
4. Bar chart

Correct answer: 2. Line chart

Explanation: Line Chart/Graph: Is a frequency polygon presenting variations by line. It shows the trends of an event over a period of time. No closed loop & no histogram in the background.